Routine use of recombinant erythropoietin in patients of chronic kidney disease obviates the chances of
1. Regular blood transfusions
2. Iron supplementation
3. Dialysis
4. Hyperkalemia

Correct answer: 1. Regular blood transfusions

Explanation: Answer- A. Regular blood transfusionsRecombinant human EPO and modified EPO products, such as darbepoetin- alpha, has been one of the most significant advances in the care of renal patients since the introduction of dialysis and renal transplantation.The routine use of these products has obviated the need for regular blood transfusions in severely anemic CKD patients.Frequent blood transfusions in dialysis patients also leads to the development of allo-antibodies that could sensitize the patient to donor kidney antigens and make renal transplantation difficult.Adequate bone marrow iron stores should be available before treatment with EPO is initiated.For patients on hemodialysis, IV iron can be administered during dialysis.